A patient was treated with Amytryptilline for depression, developed urinary retention, constipation & blurring of vision. Most likely cause is
1. Symptoms of depression persisting
2. Anti cholinergic side effects
3. Depression medicamentosa
4. Any of above

Correct answer: 2. Anti cholinergic side effects

Explanation: B i.e. Anticholinergic side effects